Which of the following is the richest source of Vitamin C?
1. Orange
2. Guava
3. Cabbage
4. Amla

Correct answer: 4. Amla

Explanation: Ans. is 'd' i.e., Amla